Which is false about hemolytic anemia?
1. Decreased LDH
2. Decreased Haptoglobin
3. Decreased RBC survival
4. Increased Uncongugated Bilirubin

Correct answer: 1. Decreased LDH

Explanation: Ans. (a) Decreased LDH(Ref: 9th/pg 631-632)In hemolytic anemia, there is decreased haptoglobin, decreased RBC survival, increased unconjugated bilirubin & Increased LDH.